The eight stage classification of human life is proposed by
1. Sigmund freud
2. Pavel
3. Strauss
4. Erikson

Correct answer: 4. Erikson

Explanation: D i.e. Erikson